Salpingitis/Endosalpingitis is best confirmed by :
1. Hysteroscopy and laparoscopy
2. X-ray
3. Hysterosalpingography
4. Sonosalpingography

Correct answer: 1. Hysteroscopy and laparoscopy

Explanation: Laparoscopy: In PID the diagnosis can be confirmed on laparoscopy. Peritoneal fluid or pus can be obtained for culture,and other causes like acute appendicitis and pelvic tuberculosis considered in differential diagnosis can be ruled out Hysteroscopy: The presence of caseous areas,ulcers,or tubercles suggest TB. SHAW'S TEXTBOOK OF GYNAECOLOGY .pg no:488,15th edition